Where is onion bulb appearance on nerve biopsy seen in?
1. Amyloid neuropathy
2. Diabetic neuropathy
3. CIDP
4. Leprous neutitis

Correct answer: 3. CIDP

Explanation: . CIDP